Maximum infant mortality is seen during which period?
1. 0-4 months
2. 4-8 months
3. 8-10 months
4. 10-12 months

Correct answer: 1. 0-4 months

Explanation: parks textbook of preventive and social medicine 23rd edition *infant mortality rate pattern shows the risk of death is greatest during the first 24-48hours after birth .